Abbreviated laparotomy done for:
1. Coagulopathy
2. Hypotension
3. Early wound healing
4. Early ambulation

Correct answer: 1. Coagulopathy

Explanation: Ans is a i.e. Coagulopathy In critically injured patients, triad of hypothermia, acidosis, and coagulopathy is a vicious cycle that if uninterrupted, is rapidly fatal. Abbreviated laparotomy is utilized to quickly achieve hemostasis. Patients are then transported to the surgical ICU for vigorous correction of metabolic derangements and coagulopathies.